IPC for criminal responsibility defining non-offence is?
1. 82
2. 182
3. 88
4. 188

Correct answer: 1. 82

Explanation: CRIMINAL RESPONSIBILITY: On completion of 5 years, the child may be held responsible for wrecking a train or endangering the safety of computers of the train. Sec. 82 IPC states that nothing is an offense which is done by a child under seven years of age. Ref: KS. Narayan Reddy's synopsis of Forensic Medicine & Toxicology. 29 the edition, Chapter 3.